All are ADRs of metformin except
1. Diarrhoea
2. Wt gain
3. Nausea
4. Lactic acidosis

Correct answer: 2. Wt gain

Explanation: Metformin produces mild weight loss as it causes insulin sensitization and increases glucose uptake into skeletal muscles.Hence considered as drug of choice for patients who are obese and with DM. Ref: KD Tripathi 8th ed.